The population of a community on the 1st of June was recorded as 1,65,000. Total no. of new cases of Tuberculosis, recorded from 1st January to 31st June were 22. Total Registered cases of tuberculosis in the community were recorded as 220. What is the incidence of TB in this community per 10 lakh population?
1. 133
2. 220
3. 13.3
4. 22

Correct answer: 1. 133

Explanation: In the above clinical scenario, given a population of 1,65,000, total number of 220 cases and a 22 number of new cases the incidence of tuberculosis from the first of January to the 31st of June for every 10 lakhs population is 133. In the above question it is calculated as : Total population at risk = 165000 Number of cases infected (new cases) = 220 Incidence to be calculated for = per 100000 population Incidence = (220 X 100000)/165000 = 133 = 133 per 100000 population Ref: Park's Textbook of Preventive and Social Medicine, 19th Edition, Page 56.